Phagocytosis of Cryptococcus neoformans is inhibited by -
1. Cryptococcal capsular material
2. The size of the yeast cells
3. The cell walls
4. Toxins produced by the organism

Correct answer: 1. Cryptococcal capsular material